Megaloblastic anemia should be treated be treated with both folic acid vitamin B12 because -
1. Folic acid alone causes, improvement of hematologic symptoms but worsening of neurological symptoms
2. It is a Co factor
3. It is enzyme
4. None of the above

Correct answer: 1. Folic acid alone causes, improvement of hematologic symptoms but worsening of neurological symptoms